Thoracic duct starts at :
1. Continuation of cystema chyli
2. Right lymphatic duct
3. Junction of azygous vein and IVC
4. None of the above

Correct answer: 1. Continuation of cystema chyli

Explanation: A i.e. Continuation of cystemachyle